Breast conservation surgery not indicated ?
1. Large pendular breast
2. SLE
3. Diffuse microcalcification
4. All

Correct answer: 4. All

Explanation: Answer (a) Large pendular breast; (b) SLE ; (c) Diffuse microcalcification